Net Protein utilization of fish is -
1. 57%
2. 67%
3. 77%
4. 87%

Correct answer: 3. 77%

Explanation: FISH Fish is nutritious food rich in proteins (15-25%) with a good biological value and a satisfactory amino acid balance. NPU of fish is 77%. The fat of fish is rich in unsaturated fatty acids and Vitamins A and D. Fish liver oils are the richest source of vitamins A and D. Fish bones are an excellent source of calcium, phosphorous and flourides. Fish are less rich in iron. No carbohydrate in fish. The fish proteins are easily digested. {Reference: Park's textbook of community medicine 23 rd edition, pg no. 630}